A 26-year-old male, Vikas presents to OPD complaining of hair lose and itching on scalp. Physical examination reveals moderate patchy hair loss fron the central portion of scalp and the lesions have ring like configuration with central clearing. Which of the following drugs can be used to treat this patient s condition?
1. Local glucocorticoid
2. Progesterone
3. Finasteride
4. Terbinafine

Correct answer: 4. Terbinafine

Explanation: Ref-Katzung 11/842 The diagnosis of tinea capitis and terbinafine is used for the treatment of male pattern baldness starts from anterior portion and scalp and are non pruritic will family history.the treatment of latter is finasteride